The objectives of minimum needs programme does not include-
1. Integration of health, water and sanitation
2. Urban area given priority
3. I PHC for 30,000 population
4. Link mid-day meal programme to Sanitation

Correct answer: 2. Urban area given priority

Explanation: Ans. is 'b' i.e., Urban area given priority The priority was given to rural area. 3 Objective were (by the year 2000) i) One PHC for 30,000 population in plains, and 20,000 population in tribal and hilly areas. ii) One sub-centre for a population of 5000 people in the plains and for 3000 in tribal and hilly areas. iii) One community health centre for a population of one lakh.